Destructively invasive, Locally malignant with rare metastasis, the lesion is
1. Fibroma
2. Ameloblastoma
3. Papilloma
4. None of the above

Correct answer: 2. Ameloblastoma